A 17-year-old girl with keratitis and severe pain in the eye came to the hospital and acanthamoeba keratitis was suspected. The patient gave the history of the following 4 points. Out of these which is not a risk factor for acanthamoeba keratitis –
1. Extended wear contact lens
2. Exposure to dirty water
3. Corneal trauma
4. Squamous blepharitis

Correct answer: 4. Squamous blepharitis

Explanation: Corneal infection with acanthamoeba result from direct corneal contact with any material or water contaminated with the organism. The risk factors are : (i) Contact lens use, (ii) Trauma, (iii) Opportunistic infections.